Most common muscle to be congenitally absent -
1. Teres major
2. Pectoralis major
3. Gastrosoleus
4. Semimembranosus

Correct answer: 2. Pectoralis major

Explanation: Congenital absence of Pectoralis major is the most common.